Inferior mesenteric vein drains into vein :
1. Splenic
2. Hepatic
3. Portal
4. Inf. vena cava

Correct answer: 1. Splenic

Explanation: A. i.e. Splenic vein Inferior mesenteric vein begins as superior rectal vein & drains into splenic veinQ behind the body of pancreas. Inferior mesenteric vein receives superior rectal, sigmoid & left colic veins.